Picket fence fever is seen in -
1. Petrositis
2. Lateral sinus thrombosis
3. Meningitis
4. Temporal lobe abscess

Correct answer: 2. Lateral sinus thrombosis

Explanation: Ans. is 'b' i.e., Lateral sinus thrombosiso Picket Fence fever is commonly associated with lateral sinus thrombosis.o It is characterized by spikes in fever (several times during the day).Also know the following features of lateral sinus thrombosis Queckenstedt's tests: -No increase in C.S.F. pressure when ipsi lateral jugular vein compressed.Greisinger's signTenderness over mastoid area from extension through mastoid emissiary vein.